After laryngectomy, dynamic esophageal voice is produced from?
1. Oral cavity
2. Pharynx - esophagus
3. Trachea
4. Pharynx

Correct answer: 2. Pharynx - esophagus

Explanation: Ans. is 'b' i.e., Pharynx - esophagus Vocal rehabilitation after total laryngectomy* It has already been explained that larynx is the organ of voice; therefore, after laryngectomy the person loses the speech completely.* After laryngectomy, various methods can be used for communication:-1) Oesophageal speech:- Patient is tought to swallow air and hold it in the upper esophagus and then slowly eject it from the esophagus into the pharynx. It is the most commonly used method.2) Artificial larynx:- Who fail to learn esophageal speech. The devices include: (i) Electrolarynx and (ii) Transoral pneumatic device.3) Tracheo-esophageal speech:- Attempt is made to carry air from trachea to esophagus or hypopharynx by creation of skin-lined fistula or by placement of an artificial prosthesis.